A 72-year-old female presents with complaints of generalized lymphadenopathy. Her CBC showed total WBC count of 80,000. Flow cytometry revealed CD19 CD20, CD 5 +, CD 23 -ve. Cyclin D1 + GI examination was done and biopsy was taken. Peripheral blood smear Which of the following genetic abnormality one may expect to find in this condition?
1. t(8:21)
2. 13q deletion
3. t(11:14)
4. t(11:18)

Correct answer: 3. t(11:14)

Explanation: 1st image shows the small to intermediate sized cells with cleaved nuclei. 2nd image shows Lymphomatoid polyposis. Mantle cell lymphoma is a B cell lymphoma with CD5+ but CD 23-ve. It shows cyclin D1 positivity and lymphomatoid polyposis. t(11:14) leads to overexpression of cyclin D1- involved in mantle cell lymphoma. t(11:18) in marginal zone lymphoma t(14:18) in follicular lymphoma. Deletion of 13q Is seen in CLL and multiple myeloma.